25 year old labourer 3 years back presented with penile ulcer not treated. Later he presented with neurological symptoms for which he got treated. Test to monitor response to treatment is -
1. VDRL
2. FTA-ABS
3. TPI
4. RPR

Correct answer: 1. VDRL